Gall bladder stone formation is influenced by all except
1. Clofibrate therapy
2. Hyper alimentation
3. Primary biliary cirrhosis
4. Hypercholesterolemia

Correct answer: 4. Hypercholesterolemia

Explanation: Hyperalimentation Decreases GB motility promotes stasis and gallstones formation Primary biliary cirrhosis Decreases bile salt secretion in bile salts secretion in bile Clofibrate therapy increases biliary cholesterol Factors responsible for formation of Gall bladder Lithogenic bile Increased biliary cholesterol--Obesity, cholesterol rich in diet, clofibrate therapy Decreased Bile acids - Primary biliary cirrhosis, OCP's, mutation of CYP7A1 gene, impaired enterohepatic circulation of bile acids Decreased Biliary Lecithin - MDR-3 gene mutation leads to defective secretion in bile Nucleation Cholesterol monohydrate Crystal aglomerate to become macroscopic crystal by nucleation Pro-nucleating factors - Mucin, Non-Mucin, Infection Anti-Nucleating factors - Apolipoprotein A-1 and A-II Excess of Pro-nucleating factors or deficiency of Anti-Nucleating factors results in formation of gall stones StasisorGB hypomotility Prolonged TPN Prolonged fasting Pregnancy Octreotide OCP's Massive burns Ref: Sabiston 20th edition Pgno : 1492